Lymphocytic interstitial pneumoni s (LIP)
1. Is uncommon in ver tically acquired HIV infection
2. Is due to a protozoal infection
3. Is seen on chest X-ray as a perihilar infiltra on in a butterfly distributi on
4. May be associated with hepatosplenomegaly

Correct answer: 4. May be associated with hepatosplenomegaly

Explanation: It is seen most commonly in children who have vertically HIV infection. The chest X-ray findings are of a diffuse infiltration and some perihilar lymphadenopathy also. There may be associated hepatomegaly, generalised lymphadenopathy or pancreas. Steroid therapy is only necessary if symptomatic to reduce oxygen requirement and increase exercise tolerance.